The pathogonomic finding in pseudogout is -
1. CPPD crystals under microscope
2. Polyarthritis with urinary sediment
3. Juxta - articular osteopenia
4. Bone spurs

Correct answer: 1. CPPD crystals under microscope

Explanation: Ans. is 'a' i.e., CPPD crystals under microscope Pseudogouto It is one of the forms of "Calcium pyrophosphate dihydrate " (CPPD) arthropathyo Pseudogout commonly involves the larger joints. Knee joint is most commonly involved: other sites are wrist, elbow, shoulder, ankle. Involvement of small joints is uncommon.o Age group is > 60 yrs.o In CPPD arthropathy, CPPD deposition occurs in articular tissues. It can present in any of the following three forms-Asympatomatic chondrocalcinosisAcute synovitis - PseudogoutChronic pyrophosphate arthropathyo The radiologic hallmark of CPPD is "chondrocalcinosis". Chondrocalcinosis is seen as punctate and/or linear radiodense deposits in fibrocartilaginous joint menisci or articular hyaline cartilage,o Definitive diagnosis is made by synovialfluid polarised light microscopy which shows weakly positive, birefringent, rhomboid crystals of CPPD. o In acute synovitis form, leucocytosis (thousands to 1 lac cells/ 1) is seen in synovial fluid examination,o It may be associated with certain underlying disease such as -Primary hyperparathyroidismHemochromatosisHypomagnesemiaHypophosphatasiaHypothyroidism